Pansystolic murmur at apex with soft first heart sound is the key sign of which one of the following ?
1. Aortic regurgitation
2. Mitral regurgitation
3. Ventricular septal defect
4. Atrial septal defect

Correct answer: 2. Mitral regurgitation

Explanation: MR : The regurgitant jet causes an apical systolic murmer.Pansystolic murmer with thrill, soft S1 AR: Early diastolic murmer ASD: Systolic flow murmer over pulmonary valve, diastolic flow murmer over tricuspid valve, wide fixed splitting of S2. VSD: Pansystolic murmer usually heated best at the left eternal edge Ref: Harrison 20th edition pg 1534